Thrombocytopenia is caused by:a) Heparinb) Acyclovirc) DICd) Henoch-schonlein purpura (HSP)e) Hemolytic uremic syndrome (HUS)
1. acd
2. ace
3. cde
4. ade

Correct answer: 2. ace

Explanation: DIC and HUS cause megakaryocytic thrombocytopenia
DIC and microangiopathic hemolytic anemia cause thrombocytopenia.
Kasabach-Merritt syndrome (KMS) is defined as profound thrombocytopenia related to platelet tapping within a vascular tumor.
Spleenomegaly (hyperspleenism) may cause thrombocytopenia.
Shaken baby syndrome is not a cause of thrombocytopenia 
 
Important drugs causing thrombocytopenia
Quinine        o Vancomycin o Sulfa compounds
Quinidine    o Heparin        o Gold salts